NADPH oxidase deficiency causes:
1. Chedickhigasi syndrome
2. Chronic granulomatous disease
3. Leucocyte adhesion defect type 1
4. Leucocyte adhesion defect type 2

Correct answer: 2. Chronic granulomatous disease

Explanation: ANSWER: (B) Chronic granulomatous diseaseREF: Medical biochemistry at a glance J. G. Salway page 47, The Metabolic basis of inherited disease John Bruton Stanbury page 1971Chronic granulomatous disease is a rare, X-linked deficiency of NADPH oxidase activity which drastically impairs the ability of macrophages and neutrophils to destroy pathogens. Patients are especially vulnerable to mycobacteria, E coli, and staphylococcus since these organisms produces catalase to defend themselves against hydrogen peroxide attack by phagocytes.